Which of the following muscle is attached to posterior part of pterygomandibular raphe ?
1. Lateral pterygoid
2. Buccinator
3. Superior constrictor
4. Medial pterygoid

Correct answer: 3. Superior constrictor